Hypogonadotropic hypogonadism with diabetes mellitus is seen in?
1. Kallman Syndrome
2. Hypothalamic hamartoma
3. Granulomatous Hypophysitis
4. Prader wili Syndrome

Correct answer: 4. Prader wili Syndrome

Explanation: Prader wili occurs due to deletion of paternal copies of imprinted SNRPN gene and NECDIN gene on chromosome 15q. It presents with: Hypogonadotropic hypogonadism Diabetes mellitus(adult onset) Hyperphagia Obesity Muscle hypotonia Intellectual disability